Most important investigation for ectopic pregnancy:
1. Serial f3-hCG levels
2. Transvaginal USG
3. Progesterone measurement
4. Culdocentesis

Correct answer: 2. Transvaginal USG

Explanation: If TVS reveals an intrauterine gestational sac,the diagnosis of ectopic can usually be ruled out .sometimes a psuedosac may be seen in an ectopic due to bleeding produced by separation of a decidual cast.(refer pgno:159 sheila 2 nd edition)